An ABG analysis shows : pH 7.2, raised pCO2, decreased HCO3;diagnosis is :
1. Respiratory acidosis
2. Compensated metabolic acidosis
3. Respiratory and metabolic acidosis
4. Respiratory alkalosis

Correct answer: 3. Respiratory and metabolic acidosis

Explanation: Answer is C (Respiratory and metabolic acidosis) lhe acid base disorder is therefore both respiratory and metabolic acidosis. There is acidosis (pH < 7.35). Raised PCO2 (acidosis) indicates that change in CO2 is in keeping with change in p1-1. The respiratory component is therefore primary. Decreased HCO3 (acidosis) indicates that change in HCO3 is also primary . The acid base disorder is therefore both respiratory and metabolic acidosis.